In acute congestive glaucoma, pupil is –
1. Oval and horizontal
2. Oval and vertical
3. Circular
4. Slit like

Correct answer: 2. Oval and vertical

Explanation: In acute congestive glaucoma, pupil is semidilated (mild dilated), vertically oval and fixed.